Most common cause of second trimester abortion:
1. Chromosomal defect
2. Cervical incompetence
3. Abnormality of uterus
4. Infections

Correct answer: 2. Cervical incompetence

Explanation: Ans. Cervical incompetence